Earliest suture to close among the following -
1. Lambdoid
2. Saggital
3. Coronal
4. Metopic

Correct answer: 4. Metopic

Explanation: Premature fusion of one or more cranial sutures, either major/ minor is called as CRANIOSYNOSTOSIS. SEQUENCE OF CLOSURE OF SUTURES - METOPIC ( 2 months) - SAGGITAL - CORONAL - LAMBDOID (22-26 months)f/b frontonasal - frontozygomatic (68-72 months) Mc type of craniosynostosis is scaphocephaly/ Dolichocephaly d/t premature fusion of saggital suture